True about cuboid bone :
1. It develops by membranous ossification
2. Proximally articulate with lunate bone
3. Flexor retinaculum is attached
4. Articulates with Calcaneum

Correct answer: 4. Articulates with Calcaneum

Explanation: D i.e. Articulates with Calcaneum